Autoimmune destruction of platelet is seen in :
1. SLE
2. Rheumatoid arthritis
3. Reiter disease
4. Polyarteritis nodosa

Correct answer: 1. SLE

Explanation: Answer is A (SLE) Previous table) SLE is characterized by antiplatelet antibody mediated autoimmune destruction of platelets.